Which of the following is not a method of chlorination of water:
1. Perchloron
2. Ozonation
3. Chlorine gas
4. Chloramine

Correct answer: 2. Ozonation